Glutathione peroxidase contains:
1. Chromium
2. Manganese
3. Zinc
4. Selenium

Correct answer: 4. Selenium

Explanation: Selenium